Generalised edema can be produced by deficiency of-
1. Vit. A
2. Thiamine
3. Vit. D
4. Folic acid

Correct answer: 2. Thiamine